Discrete breast lump without tenderness over breast in 18 year old female is most likely -
1. Fibroadenosis
2. Fibroadenoma
3. CA breast
4. Mastalgia

Correct answer: 2. Fibroadenoma

Explanation: Ans. is 'b' i.e., Fibroadenoma * Fibroadenomas are benign solid tumors composed of stromal and epithelial elements.* It is the second most common tumor in the breast (after carcinoma) and is the most common tumor in women younger than 30 years.* Fibroadenomas most often arise in the late teens and in women during their early reproductive years.* Clinically, they present as discrete firm masses that are easily movable. They slide easily under the examining fingers and may be lobulated or smooth. Usually non-tender